Prophylactic antibiotics to prevent surgical site infection are best administered :
1. After commencement of surgery
2. 30 minutes before incision
3. At the end of surgery
4. With pre medication

Correct answer: 2. 30 minutes before incision